True about turcot syndrome
1. Mutations in PTEN gene
2. CNS tumors
3. Non neoplastic polyps
4. Congenital hypertrophy of retinal pigment epithelium

Correct answer: 2. CNS tumors

Explanation: Ans. (b) CNS tumors(Ref: Russell & Rubinstein's Pathology of Tumors of the Nervous System 7Ed, pg 997)Turcot syndrome is characterised by:*Intestinal polyposis*CNS tumours: glioblastoma or medulloblastoma